As per WHO, spleen rate 11-50% is classified as:
1. Holoendemic
2. Hyperendemic
3. Mesoendemic
4. None of the above

Correct answer: 3. Mesoendemic

Explanation: Spleen rate in children Hypoendemic <10% Mesoendemic 11-50% Hyperendemic >50% Holoendemic >75% Ref: National Health Programmes in India, J.Kishore, 10th edition pg: 365